Nuclear cataract can cause-
1. Myopia
2. Hyperopia
3. Presbyopia
4. Astigmatism

Correct answer: 1. Myopia

Explanation: Nuclear cataract causes index myopia. Ref: Duker 21st/e p.412.